Which of the following activates vanilloid receptors in the urinary bladder?
1. Temperature
2. Vibration
3. Touch
4. Pressure

Correct answer: 1. Temperature

Explanation: The urothelium/sub urothelium may serve not only as a passive barrier, but also as a specialized sensory and signaling unit, which, by producing nitric oxide, ATP, and other mediators, can control the activity in afferent nerves, and thereby the initiation of the micturition reflex. The urothelium has been shown to express for example, nicotinic, muscarinic, tachykinin, adrenergic, bradykinin, and transient receptor potential (TRP) receptors. Low pH, high K+, increased osmolality, and low temperatures can all influence afferent nerves, possibly effects on the vanilloid receptor (capsaicin- gated ion channel, TRPV1), which is expressed both in afferent nerve terminals and in the urothelial cells. Ref: Andersson K. (2008). Chapter 26. Neurophysiology and Pharmacology of the Lower Urinary Tract. In E.A. Tanagho, J.W. McAninch (Eds), Smith's General Urology, 17e.